True for epidemiological triad:
1. Time, place, person
2. Agent, host, environment
3. Disease, prevention, treatment
4. Agent, man, disease

Correct answer: 2. Agent, host, environment

Explanation: Ans: B i.e. Agent, host, environment Some important terms Epidemiological triad is a broader concept of disease causation that include the basic factors of agent, host and environment Germ theory of disease is generally referred to as one-to-one relationship between causal agent and disease. The disease model accordingly is: Disease agent Man Disease.